Sporulation occurs in -
1. Lag phase
2. Log phase
3. Stationary phase
4. Decline phase

Correct answer: 3. Stationary phase

Explanation: The various phases of growth curve are associated with morphological and physiological alterations of the cells.